Gillette space is seen in
1. Parapharyngeal space
2. Retropharyngeal space
3. Peritonsillar space
4. None of the above

Correct answer: 2. Retropharyngeal space

Explanation: RETROPHARYNGEAL ABSCESS APPLIED ANATOMY * Retropharyngeal space:- It lies behind the pharynx between the buccopharyngeal fascia covering pharyngeal constrictor muscles and the prevertebral fascia. It extends from the base of skull to the bifurcation of trachea. The space is divided into two lateral compartments (spaces of Gillette) by a fibrous raphe. Each lateral space contains retropharyngeal nodes which usually disappear at 3-4 years of age. Parapharyngeal space communicates with the retropharyngeal space. Infection of retropharyngeal space can pass down behind the oesophagus into the mediastinum. Ref:- Dhingra; pg num:-265,266